A new born male child presented with severe respiratory distress. On examination, respiratory breath sounds are absent and abdomen is scaphoid. What is the child suffering from?
1. Congenital pyloric stenosis
2. Diaphragmatic hernia
3. Intussusception
4. Meconeum ileus

Correct answer: 2. Diaphragmatic hernia

Explanation: The child is showing features of diaphragmatic hernia. It is characterised by the herniation of abdominal organs into the hemithorax through a posterolateral defect in the diaphragm. Chest Xray helps in confirmation of diagnosis and shows bowel loops in the chest with mediastinal shift to the opposite side.